Half life of I131 is
1. 4 hours
2. 8 days
3. 4 days
4. 10 days

Correct answer: 2. 8 days

Explanation: B i.e. 8 days